Length of a mature human spermatozoon is?
1. 50-60 microns
2. 10-40 microns
3. 100-200 microns
4. 300-500 microns

Correct answer: 1. 50-60 microns

Explanation: A i.e. 50- 60 microns